Which beta blocker has anti oxidant property?
1. Celiprolol
2. Carvedilol
3. Betaxolol
4. Propanolol

Correct answer: 2. Carvedilol

Explanation: Ref: Goodman and Gillman, Pharmacological Basis of Therapeutics, 11th editionExplanation:"In addition to the classical non-subtype selective and hi-selective adrenergic receptor antagonists, there also are a series of drugs that possess vasodilators actions. These effects are produced through a variety of mechanisms including a l adrenergic receptor blockade flabetalol, carvedilol, bucindolol, bevantolol, nipradilol), increased production of NO (celiprolol, nebivolol, carteolol, bopindolol and nipradolol), b2-agonist properties (celiprolol, carteolol and bopindolol), Ca2+ entry blockade icarvedilol, betaxolol and bevantolol), opening of K+ channels (tilisolol), or antioxidant action (carvedilol). " Ref: Goodman and GillmanThird-Generation b Receptor Antagonists with Additional Cardiovascular ActionsNitric oxide productionb2 receptor agonisma1 receptor antagonismCa2+ entry blockadeK+ channel openingAntioxidantactivity* Celiprolol* Nebivolol* Carteolol* Bopindolol* Nipradilol* Celiprolol* Carteolol* Bopindolol* Carvedilol* Bucindotol* Bevantolol* Nipradilol* Labetalol* Carvedilol* Betaxolol* Bevantolol* Tilisolol* Carvedilol